The mechanism by which ergometrine stops postpartum hemorrhage is that it:
1. Causes vasoconstriction of uterine arteries
2. Increases tone of uterine muscle
3. Promotes coagulation
4. Induces platelet aggregation

Correct answer: 2. Increases tone of uterine muscle